All are the complications of hydatid cyst in the liver except
1. Jaundice
2. Suppuration
3. Cirrhosis
4. Rupture

Correct answer: 3. Cirrhosis

Explanation: Complications-- Rupture of the cyst into biliary tree ( most common) or bronchial tree Free rupture into peritoneal, pleural or pericardial cavities